Esophageal motility disorder is best diagnosed is?
1. Barium studies
2. Esophagoscopy
3. 24 hour pH monitoring
4. Manometry

Correct answer: 4. Manometry

Explanation: Davidson's principles and practice of medicine 22nd edition. *Manometry confirms the high pressure non relaxing oesophageal sphincter with poor contractility of the oesophageal body.